Tardive dyskinesia is produced by following except -
1. Fluphenazine
2. Haloperidol
3. Chlorpromazine
4. Clozapine

Correct answer: 4. Clozapine

Explanation: Extrapyramidal side effects (e.g. Tardive dyskinesia) are not produced by clozapine.